Not true of cholelithiasis -
1. Billiary fistula is a complication gall stone
2. More common in female
3. Clofibrate therapy is a predisposing factor
4. Ileal resection has no effect on gall stone formation

Correct answer: 4. Ileal resection has no effect on gall stone formation

Explanation: Ans. is 'd' i.e., Ilea refection has no effect on gall stone formation Pathogenesis of Cholesterol gall stoneso There are three elements necessary for the formation of cholesterol gall stonesLithogenic bileNucleation andStasis or gall bladder hypomotilityo Ideal disease/resection decreases or impairs enterohepatic circulation of bile salts leading to lithogenic bile.